Prostaglandin inhibiting action of aspirin is useful in the treatment of all of the following conditions except-
1. Analgesia and antipyresis
2. Closure of ductus arteriosus
3. Uricosuria
4. Antiinflammatory and antiplatelet aggregation

Correct answer: 3. Uricosuria

Explanation: Ans. is 'c' i.e., Uricosuria o At higher doses, aspirin has uricosuric action: < 2 gm/day : urate retention 2-5 gm/day : No change > 5 gm/day : T urate excretion (uricosuric action) o This uricosuric action is unrelated to action of aspirin on PG synthesis inhibition. o Analgesic, anti-inflammatory, antipyretic and antiplatelet aggregatory actions of aspirin are due to inhibition of PG synthesis. o This action is also responsible of closure of PDA.